Chalky white deposits in teeth are seen with which acid?
1. Carbolic acid
2. Oxalic acid
3. Nitric acid
4. Sulphuric acid

Correct answer: 4. Sulphuric acid

Explanation: High yield points: Chalky white teeth-sulphuric acid Black tongue- sulphuric acid Yellow teeth- picric acid Green urine- phenol Golden hair- copper